A 25-year old man with a psychotic illness, was treated with haloperidol 30mg/day. On the third day he developed pacing, and inability to sit still at one place. The medication likely to be helpful is:
1. Phenytoin
2. Propranolol
3. Methylphenidate
4. Trihexyphenedyl

Correct answer: 2. Propranolol

Explanation: B i.e. Propranolol